True statement about Kiesselbach's Plexus
1. Larger capillary network in anteroinferior part of vestibule of septum.
2. Contains anastomoses between sphenopalatine artery branches,superior labial branch of facial artery, greater palatine artery and anterior ethmoidal artery.
3. Common site of epistaxis; also known as Little's area.
4. All of the above

Correct answer: 4. All of the above

Explanation: Kiesselbach's Plexus
→ Large capillary network in anteroinferior part of vestibule of septum.
→ Contains anastomoses between:

Sphenopalatine artery and its branches.
Superior labial branch of facial artery.
Greater palatine artery.
Anterior ethmoidal artery.

→ This is known as Little's area.
→ Little's area - Common site of epistaxis (bleeding from nose).
→ Artery of epistaxis - Sphenopalatine artery.